28 year old G3 P2 at 16 weeks gestation reports extreme fatigue and her hemoglobin concentration is 7.5g / dL MCV is markedly elevated and measures 12.4 fL. Her peripheral blood smear is shown below. What is most likely etiolgy
1. Iron deficiency
2. Vitamin B6 deficiency
3. Folic acid deficiency
4. Vitamin B12 deficiency

Correct answer: 3. Folic acid deficiency

Explanation: During pregnancy, megaloblastic anemia is more due to folic acid deficiency than vitamin B12 deficiency.